"Blood brain barrier" is present at all of the following sites except:
1. Hebenular nucleus
2. Subfornical organ
3. Cerebellum
4. Pontine nucleus

Correct answer: 2. Subfornical organ

Explanation: Some areas of the brain lack blood-brain barrier. These are called the circumventricular organs because they surround the ventricular system in the brain. They are supplied by leaky capillaries. These areas are: Area postrema (CTZ is located in this area) Posterior pituitary Subfornical organ (SFO) (a specialized receptor area in diencephalon; angiotensin II acts on it to stimulate thirst) Median eminence (portion of the hypothalamus from which the portal vessels arise) Pineal gland Organum vasculosum laminae terminalis (OVLT) (function similar to SFO)